Increased bone density is seen in all except -
1. Primary hyperparathyroidism
2. Osteopetrosis
3. Fluorosis
4. Hypoparathyroidism

Correct answer: 1. Primary hyperparathyroidism

Explanation: Increased bone density is seen in secondary hyperparathyroidism (not in Primary hyperparathyroidism).